Schick test is for -
1. Susceptibility to diphteria
2. Susceptibility to tetanus
3. Susceptibility to scarlet fever
4. Susceptibility to RF

Correct answer: 1. Susceptibility to diphteria